According to the Glasgow Coma Scale (GCS), a verbal score of 1 indicates
1. No response
2. Inappropriate words
3. Incomprehensible sounds
4. Disoriented response

Correct answer: 1. No response

Explanation: . *Glasgow coma score -verbal (nonintubated). 5-oriented and talks 4-disoriented and talks 3-inappropriate words 2-incomprehensible words 1-no response. Ref Harrison20th edition pg 2677